The most rapid relief of symptoms of angina pectoris is found with the administration of:
1. Oxygen
2. Ibubrufen
3. A barbiturate
4. Nitrates

Correct answer: 4. Nitrates